Which of the following is used in rape victims to determine of rupture of hymen and whether rupture is recent or old:
1. Glaister Keene Rods
2. Gaba Rod
3. Gram Rod
4. Cylinder Rod

Correct answer: 1. Glaister Keene Rods

Explanation: A i.e. Glaister Keene's Rods